Ratio of fat cells and blood cells in bone marrow is-
1. 1:04
2. 1:02
3. 1:01
4. 2:01

Correct answer: 3. 1:01

Explanation: Ratio of fat cells and blood cells in bone marrow is 1:1 Normal Myeloid: Erythroid ratio = 3-4:1. Normal ratio of marrow cells: fat cells=1:1. Normal Cellularity (%) = 100 - Age. Decreases with age At 10yrs =100-10=90% cellularity At 30yrs=100-30=70% cellularity